The effects of diabetic mother on infants is/are:
1. Brain enlargement as a part of macrosomia
2. Hyperglycemia in infant
3. First trimester abortion
4. All

Correct answer: 3. First trimester abortion

Explanation: Ans. is c i.e. First trimester abortion